Secretory diarrhea is not seen in:
1. Phenolphthalein
2. Celiac disease
3. Cholera
4. Addison's Disease

Correct answer: 2. Celiac disease

Explanation: Answer is B (Celiac Disease) Celiac Disease is associated with Steatorrheal diarrhoea from mucosa! malabsorption. Secretory Diarrhea Certain Bacterial Infection Vibrio Cholera Enterotoxigenic E.Coli Non Osmotic Stimulant Laxatives Hormone Producing Endocrine Tumors Carcinoid, VlPomas, Gastrinomas, Medullary Carcinoma Thyroid (Calcitonin) Bile acids (endogenous laxatives) Bowel resection / disease or fistula Addison's Disease Congenital Electrolyte Absorption defects Chronic Alcohol Ingestion Diabetic Diarrhea Steatorrheal Diarrhea Intraluminal maldigestion Pancreatic exocrine insufficiency, Bacterial overgrowth, Bariatric surgery, Liver disease Mucosal malabsorption Celiac sprue, Whipple's disease, Infections, Abetalipoproteinemia, Ischemia Postmucosal obstruction (1deg or 2deg lymphatic obstruction)